Aldosterone antagonists are not useful in the treatment of :
1. Hypertension
2. Congestive heart failure
3. Gynaecomastia
4. Hirsutism

Correct answer: 3. Gynaecomastia

Explanation: Aldosterone antagonists cause gynaecomastia as an adverse effect.